In shock, characteristic feature is -
1. Cardiac failure
2. Poor perfusion of tissues
3. Cyanosis
4. Oedema

Correct answer: 2. Poor perfusion of tissues

Explanation: Ans. is 'b' i.e., Poor perfusion of tissues SHOCK Shock is the clinical syndrome that results from poor tissue perfusion. In this condition tissues in the body do not receive enough oxygen and nutrients to allow the cells to function. o This ultimately leads to cellular death and may progress to organ failure and finally, to whole body failure and death. Common types of shock o Hypovalemic shock --> Due to decreased blood volume from any cause. (most common type) o Cardiogenic shock Due to inadequate pumping action of the heart. o Septic shock Caused by infection o Anaphylactic shock --> Caused by type I hypersensitivity reaction. o Neurogenic shock Caused by damage to nervous system that leads to interruption of sympathetic vasomotor input.